Infection of index finger spread to
1. Mid-palmar space
2. Radial bursa
3. Thenar space
4. Dorsum of hand

Correct answer: 3. Thenar space

Explanation: Infection of thumb and index finger spreads to thenar space. Infection from middle, ring and little finger spreads to midpalmar space.